Delta waves are seen in:
1. Deep sleep
2. REM sleep
3. Awake state
4. Stage II nREM sleep

Correct answer: 1. Deep sleep

Explanation: REM sleep is characterized by b waves, the waves actually of alert wakefulness. Hence, REM sleep is also called "paradoxical sleep". Awake state with eyes closed - a waves; with eyes open - b waves. NREM sleep: stage 1 shows periodic short bursts of a waves.